In spondolysthesis following radiological features seen – a) Scotty dogb) Scotty dog wearing a collarc) Beheaded scotty dog terrier signd) Nepolean sign
1. ab
2. bc
3. cd
4. ac

Correct answer: 3. cd